Perioperative respiratory failure is
1. Type I respiratory failure
2. Type II respiratory failure
3. Type III respiratory failure
4. Type IV respiratory failure

Correct answer: 3. Type III respiratory failure

Explanation: TYPE III RESPIRATORY FAILUREThis form of respiratory failure results from lung atelectasis. Because atelectasis occurs so commonly in the perioperative period, this form is also called perioperative respiratory failure. After general anaesthesia, decreases in functional residual capacity lead to the collapse of dependent lung units. Such atelectasis can be treated by frequent changes in position, chest physiotherapy, upright positioning, and control of incisional and/or abdominal pain.Noninvasive positive-pressure ventilation may also be used to reverse regional atelectasis.Harrison 19e pg:1732